Most common site for laryngeal cartilagenous tumors is
1. Cricoid cartilage
2. Thyroid cartilage
3. Arytenoid cartilage
4. Corniculate cartilage

Correct answer: 1. Cricoid cartilage

Explanation: Laryngeal cartilaginous tumors- Cricoid cartilage is the most common site of laryngeal cartilaginous tumor. Ref:- Essentials of ENT Mohan Bansal; pg num:- 372